Mean arterial pressure depends upon
1. Cardiac output
2. Cardiac output & peripheral resistance
3. Arterial complaince
4. Peripheral resistance

Correct answer: 2. Cardiac output & peripheral resistance

Explanation: Cardiac output and peripheral resistance. As blood is pumped out of the left ventricle into the aorta and distributing arteries, pressure is generated. The mean arterial pressure (MAP) is determined by the cardiac output (CO), systemic vascular resistance (SVR), and central venous pressure (CVP).